A A patient presents with multiple fractures. He develops respiratory distress and dies after few days. CT brain shows petechial hemorrhage. Most likely diagnosis is:
1. Fat embolism
2. Stroke
3. Hemorrhage
4. Hypoxic ischemic encephalopathy

Correct answer: 1. Fat embolism

Explanation: - A presenting long bone fractures + respiratory distress +petechiae / hemorrhage in brain suggests : fat embolism syndrome FAT EMBOLISM SYNDROME - Generally associated with displaced long bone fractures of lower extremities - Occurs in 0.5-3.05% of cases - Fat embolism will reach in the brain through a right to left cardiac shunt or through an intact pulmonary circulation in the patient without the shunt - Major clinical characteristics : respiratory insufficiency , neurologic symptoms , and petechial skin rash